In Chronic Viral Hepatitis:
1. Hepatitis A virus infection is a common cause inchildren
2. Morphological classification into Chronic ActiveHepatitis and Chronic Persistent Hepatitis areimpoant
3. Fatty change is pathognomic of Hepatitis C virusinfection
4. Grading refers to the extent of necrosis andinflammations

Correct answer: 4. Grading refers to the extent of necrosis andinflammations

Explanation: . Grading refers to the extent of necrosis andinflammations